Guidelines for Sterilization includes all except:
1. The age of the husband should not ordinarily be less than 25 years nor should it be over 50 years
2. The age of the wife should not be less than 20 years or more than 45 years.
3. The motivated couple must have 3 living children at the time of operation.
4. If the couple has 3 or more living children, the lower limit of age of the husband or wife may be relaxed at the discretion of the operating surgeon

Correct answer: 3. The motivated couple must have 3 living children at the time of operation.

Explanation: Guidelines for sterilization Age of the husband should not be < 25 years nor > 50 years. Age of the wife should not be < 20 years or > 45 years. Motivated couple must have >= 1 living children at the time of Sx. If the couple has >=3 living children, the lower limit of age of the husband/wife may be relaxed at the discretion of the operating surgeon. If the acceptor declares having obtained the consent of his/her spouse to undergo sterilization without outside pressure, inducement or coercion, and that he/she knows that for all practical purposes, the operation is irreversible, and also that the spouse has not been sterilized earlier.